Cleft palate is ideally repaired at
1. 5 month of age
2. 1 year of age
3. Before going to school
4. 6 to 8 year]of age

Correct answer: 2. 1 year of age

Explanation: Explanation
This depends on instituitional protocol. Most centers repair palates at 12-18 months of age
Timing to cleft palate repair –
According to Sabiston -before 12 month
According to Schwartz - At 9 to 12 month of age
According to Bally and love - between and 18 month
The timing of cleft repair is important, and a general recommendation is lip repair at 3 months, palate repair by 12months and alveolar bone grafting at about 9 year of age - SABISTON